Which of the following drugs will decrease heart rate in a patient with a normal heart rate but will have little effect on heart rate in a cardiac transplant recipient
1. Adrenaline
2. Noradrenaline
3. Isoproterenol
4. Phenylephrine

Correct answer: 4. Phenylephrine

Explanation: Ref-KDT 6/e p127 Nor-adrenaline decreases the heart rate due to reflex stimulaton of baroreteptors. These reflexes are lost in a transplanted heart. however, by its acton, it can produe tachycardia phenylephiine is a selective alpha1 agonist. It has no direct eftect on the heart but produes bradyardi due to reflex stimulation o baro-receptors. These retlexes are lost in a translanted heart. Therelore, it produces no etfect on heart.